Fat embolism syndrome is most commonly seen after ?
1. Femur fracture
2. Acetabular fracture
3. Pelvis fracture
4. Calcaneal fracture

Correct answer: 1. Femur fracture

Explanation: Ans. is 'a' i.e., Femur fracture Fat embolism means circulation of fat globule away from its site of origin. When fat embolism causes symptoms it is called fat embolism syndrome. Causes of fat embolism Fracture of long bone (most common) - Blunt trauma Recent Corticosteroid administration Soft tissue trauma Acute pancreatitis Burns D.M. Parenteral lipid infusion Liposuction Sickle cell crisis Decompression sickness